Noma is
1. pyogenic granuloma
2. fibrous dysplasia
3. Vincent's disease
4. cancrum oris

Correct answer: 4. cancrum oris